Which of the following drug does NOT cause myopathy as side effect?
1. Chloroquine
2. Betamethasone
3. Chloramphenicol
4. Zidovudine

Correct answer: 3. Chloramphenicol

Explanation: Adverse effects of chloramphenicol includes nausea, vomiting, diarrhea, aplastic anemia and gray baby syndrome. Drugs causing myopathy are: Cimetidine Penicillamine Statins Amiodarone Colchicine Chloroquine Cyclosporine Lithium Zidovudine Alcohol Ref: Essentials of Electrodiagnostic Medicine By William Campbell, MD page 396, Deck D.H., Winston L.G. (2012). Chapter 44. Tetracyclines, Macrolides, Clindamycin, Chloramphenicol, Streptogramins, & Oxazolidinones. In B.G. Katzung, S.B. Masters, A.J. Trevor (Eds), Basic & Clinical Pharmacology, 12e.